A young boy with multiple flaccid bullous lesions over trunk with oral mucosal lesions. Most likely finding on biopsy would be:
1. 'Fishnet' IgG deposits in epidermis
2. Linear IgG in Deposits
3. Linear IgA in dermal papillae
4. Granular IgA in reticular dermis

Correct answer: 1. 'Fishnet' IgG deposits in epidermis

Explanation: A i.e. 'Fishnet' IgG deposits in epidermis